The most common malignant tesicular neophasm is -
1. Teratoma
2. Seminoma
3. Choricocarcinoma
4. Lymphoma

Correct answer: 2. Seminoma

Explanation: Ans. is 'b' i.e., Seminoma